Most common cause of infectious croup is
1. Adenovirus
2. Parainfluenza type I
3. RSV
4. Influenza

Correct answer: 2. Parainfluenza type I

Explanation: Ans. is 'b' i.e., Parainfluenza type I Infectious croup (Laryngitis & laryngotracheobronchitis)o Nearly always caused by viral infectiono Usually by parainfluenza type I.o Other-RSVParainfluenza 2,3InfluenzaAdenoviruso TreatmentHumidified oxygenIntravenous fluid for adequate hydrationAntibiotic (ampicillin ceftriaxone) if suspecting epiglottitis.